A woman died within 5 years of marriage under suspicious circumstances. Her parents complained that her in-laws used to frequently demand dowry. Under which of the following sections can a magistrate authorize an autopsy of the case?
1. Section 302 IPC
2. Section 174 Cr Pc
3. Section 176 Cr Pc
4. Section 304 IPC

Correct answer: 3. Section 176 Cr Pc

Explanation: Autopsy is compulsory in all dowry death cases → Section 174 (3) CrPC.
Such an autopsy (of dowry death) can be authorized by magistrate → Section 176 (3) CrPC
Police can authorized inquest in any case (including dowry death) →3 Section 174 CrPC.